First dose OCP in emergency contraception is to be taken within -
1. 24hrs
2. 48hrs
3. 72hrs
4. 96hrs

Correct answer: 3. 72hrs

Explanation: Ans. is 'c' i.e., 72 hrs "Morning after pill : ethinyl-estrediol 2.5 mg, premarin 15 mg, the drug is taken orally twice daily for 5 days. Beginning soon after exposure but not later than 72 hrs ",